The protein in the GBM responsible for charge dependent filtration is
1. Albumin
2. Collagen type IV
3. Fibronectin
4. Proteoglycan

Correct answer: 4. Proteoglycan

Explanation: Glomerular basement membrane contains: a. Collagen type IV b. Laminin c. Polyanionic proteoglycans (responsible of charge-dependent filtration) d. Entactin e. Fibronectin f. Sialoglycoprotein coating on endothelial and visceral epithelial cells. Ref: ROBBINS BASIC PATHOLOGY 10th ed Pg no: 551